H.pylori causes all except;
1. Peptic ulcer
2. Maltoma
3. Carcinoid tumor
4. Gastric CA

Correct answer: 3. Carcinoid tumor

Explanation: H.pylori is gram negative bacteria, non sporing, micro aerophilic, extra cellular bacteria. H.pylori releases urease enzyme which converts urea to ammonia and ammonia stimulates G cells of stomach which in turn stimulates parietal cells and cause secretion of HCl and Hyperchlorydia. This acid travels into stomach & duodenum and causes peptic ulcers. * H.pylori is a type I carcinogen, which, if present in stomach or long term can cause cancer called MALTOMA (Mucosa Associated Lymphoid Tumor), which is a B-type NHL. Also Know mc site of duodenal ulcer in duodenum: D1 If ulcer at atypical site like D2, suspect Zollinger Ellison Syndrome IOC for H. pylori: Urease test (invasive procedure) Urea breath test: test for eradication of infection S. ELISA: Screening test for H.Pylori